False about MRKH syndrome
1. Absent uterus
2. Absent ovary
3. Hypoplastic vagina
4. XX phenotype

Correct answer: 2. Absent ovary

Explanation: MRKH Syndrome Normal breast development Normal sexual hair Average stature External genetalia normal Absence of uterus and vagina Normal Ovaries D.C.DUTTA'S TEXTBOOK OF GYNAECOLOGY,Pg no:453,6th edition